Which of the following statements on lymphoma is not True-
1. A single classification system for Hodgkin's disease (HD) is almost universally accepted
2. HD more often tends to remain localized to a single group of lymph nodes and spreads by contiguity
3. Several types of non Hodgkin's lymphoma (NHL) may have a leukemic phase
4. In general follicular (nodular)NHL has worse prognossis compared to diffuse NHL

Correct answer: 4. In general follicular (nodular)NHL has worse prognossis compared to diffuse NHL